Thyroid storm can be treated by all the following drugs EXCEPT
1. Propylthiouracil
2. Dexamethasone
3. Propranolol
4. Aspirin

Correct answer: 4. Aspirin